All of the following are the reasons for pain in Sub-Mucosal fibroid, EXCEPT ?
1. Torsion
2. Large size
3. Sarcomatous change
4. Degeneration

Correct answer: 1. Torsion

Explanation: Pain due to torsion is see with pedunculated subserosal fibroid Torsion is not characteristic of a Sub Mucosalfibroid Pain in sub mucosal fibroid is due to: Fibroid degeneration Large size Sarcomatous change